Which of the following histological type lung carcinoma has worst prognosis -
1. Squamous cell CA
2. Adenocarcinoma
3. Alveolar-carcinoma
4. Small cell carcinoma

Correct answer: 4. Small cell carcinoma

Explanation: Ans. is 'd' i.e., Small cell CA o Small cell carcinomas are the most aggresive of lung tumors, metastatize widely and are virually incurable by surgical means.